The important light microscopical feature in Alport syndrome are all, EXCEPT:
1. Interstitial fibrosis
2. Tubular hypertrophy
3. Segmental proliferative
4. Glomerular changes

Correct answer: 2. Tubular hypertrophy

Explanation: The light microscopic findings are not characteristic in alport syndrome. It will be normal in early years of life. In older patients the changes seen are 1. Interstitial fibrosis, 2. Tubular atrophy, 3. Foam cells, 4. Segmental proliferative The presence of interstitial foam cells has been considered as suggestive of Alport syndrome. Ref: Dan Med Bull 2009;56:105-52